Corynebacterium minutissimum causes –
1. Erysipelas
2. Erythrasma
3. Ecthyma
4. Impetigo

Correct answer: 2. Erythrasma